Which one of the following skeletal muscle relaxants cause pain on injection
1. Succinylcholine
2. Vecuronium
3. Rocuronium
4. Pancuronium

Correct answer: 3. Rocuronium

Explanation: Refer Pharmacology for Nurse Anaesthesiology /110 Rocuronium causes pain on injection Propofol is also responsible for pain on injection Remember post operative muscular pain is caused by succinylcholine and post operative muscle rigidity is caused by Fentanyl group of drugs